All are seen in vitamin C deficiency except:
1. Swollen bleeding gums
2. Delayed wound healing
3. Anemia
4. Infertility

Correct answer: 4. Infertility

Explanation: Vitamin C/Ascorbic acid deficiency leads toScurvy Clinical manifestation of scurvy: Swollen and bleeding gums Subcutaneous bleeding and brushing into skin/joints Delayed wound healing Anemia Weakness.